Radiological feature of osteosarcoma is –
1. New bone formation
2. Sunray appearance
3. Cotton wool app.
4. Osteoid formation

Correct answer: 2. Sunray appearance